Which of the following can be given orally?
1. Cytosine arabinoside
2. Cisplatin
3. Doxorubicin
4. Mesna

Correct answer: 4. Mesna

Explanation: MESNA ,is a drug used to reduce the undesired side effects of certain chemotherapy drugs. It is referred to as a "chemoprotectant." and prophylactic agent used to reduce the incidence of ifosfamide-induced hemorrhagic cystitis. How this drug is given: As an injection or infusion through the vein (intravenous, IV). This is given with or after the chemotherapy drug has been given. As a pill by mouth. Comes in 400mg tablet size. Recommended that it is taken with strong tasting liquid to mask the taste. If not taken as tablet, solution is made using carbonated beverage, juice or milk. REFERENCE: www.mayoclinic.org, www.chemocare.com